Regarding Modified duke’s criteria for Infective endocarditis,  all are true except
1. Positive blood culture for typical Infective endocarditis organisms from2 separate blood cultures
2. 2 positive cultures from samples drawn atleast 12 hours apart.
3. Single positive blood culture positive for staphylococcus aureus
4. Phase 1 IgG antibody titer>1:800

Correct answer: 3. Single positive blood culture positive for staphylococcus aureus

Explanation: Single positive blood culture positive for coxiella burnetti is one of the criteria for diagnosis of Infective endocarditis.